Drug remaining in the body after 3 half lives is ?
1. 12.50%
2. 75%
3. 87.50%
4. 94%

Correct answer: 1. 12.50%

Explanation: Ans. is 'a' i.e., 12.5%